Most common type of lupus nephritis -
1. Memberanous
2. Mesangial
3. Focal proliferative
4. Diffuse proliferatione

Correct answer: 4. Diffuse proliferatione

Explanation: Ans. is 'd' i.e., Diffuse proliferatione o Diffuse proliferative glomerulonephritis (Class IV) is the most common form of lupus nephritis.